Kasai's procedure is the treatment of choice for
1. Congenital hypertrophic pylori stenosis
2. Duodenal atresia
3. Biliary atresia
4. Hirschprung's disease

Correct answer: 3. Biliary atresia

Explanation: Treatment of Biliary atresia Exploratory laparotomy: If needle biopsy or abdominal ultrasound is consistent with BA Intra operative cholecystocholangiography : To confirm diagnosis, demonstration of fibrotic biliary remnant and definition of absent proximal and distal bile duct patency Treatment of choice : Kasai's hepatoportoenterostomy (Roux-en-Y hepaticojejunostomy Ref: Sabiston 20th edition Pgno : 639